A person is brought to you after an A and on examination there is a lacerated wound in the thigh with some tissue damage. The surgery resident has cleaned and debrided the wound and prescribed antibiotics. History of the patient reveals that he has taken a complete course of tetanus toxoid with a booster dose 4 years ago. What is your line of management to prevent tetanus?
1. Give 1 dose of tetanus toxoid
2. Give Human tetanus hyper -immunoglobulin
3. Give 'a' and 'b'
4. Tell the patient that no tetanus prophylaxis is required

Correct answer: 4. Tell the patient that no tetanus prophylaxis is required

Explanation: Since he has completed the course of tetanus toxoid and received a booster dose within 5 years nothing more is needed. If he had taken a booster dose more than 5 years ago and less than 10 years, 1 dose TT should have been given. If his last booster dose was > 10 years ago he needs both toxoid and immunoglobulin. Same is the case if he has not been vaccinated before. Note: - In case of a clean non penetrating injury with minimal tissue damage the treatment is only toxoid if no booster is received within 5 years. Ref: Park, Edition 21, Page 287